A.M.L. with worst prognosis
1. 8/21 translocation
2. Inversion 16
3. Normal cytogenetics
4. Monosomy 7

Correct answer: 4. Monosomy 7

Explanation: Monsomy 7 [Ref Harrison 17th/e p 680 & leh/e p 6341 There are number of factors which determine the prognosis in A.M.L. In a number of studies in last 2 decades it has been observed that cytogenetic markers are major determinants in assessment of prognosis. Prognosis of Acute Myeloid leukemia . t (8 ; 21),Q * Good prognosis * inv (16) ordeg . t (15 ; 17)Q * Moderately favourable outome . No cytogenetic abnormalitydeg . inv (3),deg * Monosomy 7 presence deg of PTD of MLL or 1TD of FLT 3 * Poor prognosis . Uq 23,deg . 3q21,deg . 3q26deg Prognostic factors in Acute Myeloid leukenia Factors Favorable Unfavorable . Age <45 years < 2 year, > 60 years . Leucocytosis 25 x RP/LQ > 100 x lOYL . CNS involvement AbsentQ Present . Response to therapy Rape& Delayed/incomplete . Auer rods Present Absent . FAR type M2, B3 M4E0 M5, M6, M7 . Cell markers CD2or CD19 CD13, CD14, CD33 . Cytogenetics t (15:17)Q in M3 -7; del (7q), -50 t (8:21) in M2 del (sq)Q, 11q23 inv( 16) del(16q) abnormalities 3q21 and 3q26 abnormalities complex karyotypic abnormalities